Predisposing features for germ cell tumour?
1. Cryptochidism
2. Testicular feminising syndrome
3. Klinefelter's syndrome
4. All

Correct answer: 4. All

Explanation: Ans. is 'a' i.e., Cryptorchidism; 'b' i.e., Testicular feminising syndrome; 'c' i.e., Klinefelter syndromeThe predisposing factor of germ cell tumors of testes are :1. Cryptorchidism2. Testicular feminisation syndrome3. Klinefelter syndrome4. Excess 12P copy number either in the term of i(12P) or increased 12P an aberranthy banded marker chromosome.o In most large testicular tumour approximately 10% associated with Cryptorchidism.o Abdominal cryptorchid testes are higher risk than inguinal cryptorchid testes.o Early orchiopexy before puberty reduced the risk of GCT.o Klinefeleter's syndrome is associated with mediastinal GCT.o An ischromosome of short arm of chromosome 12. is pathognomic of GCT in all histological types.